More than 90% of this drug is excreted in the urine in intact form. Because it's urinary solubility is low, patient should be well hydrated to prevent nephrotoxicity. The drug is:
1. Indinavir
2. Zidovudine
3. Acyclovir
4. Amantadine

Correct answer: 3. Acyclovir

Explanation: (Ref: Katzung 10/e p793; KDT 6/e 769) Both indinavir and acyclovir can cause nephrotoxicity bad renal stone formation. But indinavir is metabolized mainly in the liver and acyclovir is excreted unchanged in the urine.